Cleft lip is repaired at: (Repeat)
1. 2 - 4month
2. 1-4 weeks
3. 6-12 months
4. 12-18 months

Correct answer: 1. 2 - 4month

Explanation: Ans: A (2 - 4 months) Ref: Nelson's Textbook of Pediatrics. 19th Edition Explanation: Timing of elective surgery for various conditions Cleft lip 3 months Cleft soft palate. 3 months Cleft hard palate. 12-15 months Combined soft and hard palate. 1 year Combined lip and soft palate. 3 months Hypospadias. 6-12 months Umbilical hernia.- conservative till 2 years of age. Surgery if still symptomatic Inguinal hernia. As early as possible Hydrocele. >1 year Undescended testis. 6 months - 1 year PDA. At birth COA. 3-4 year or as soon as child is medically fit. "Surgical closure of a cleft lip is usually performed by 3 months of age. When the infant has shown satisfactory weight gain and is free of any oral, respiratory, or systemic infection. " Ref: Nelson "In an otherwise healthy child, closure of the palate is usually done before 1 year of age to enhance normal speech development." Ref: Nelson Modification of the Millard rotation- advancement technique is the most commonly used technique; a staggered suture line minimizes notching of the lip from retraction of scar tissue. The initial repair may be revised at 4 or 5 yr of age. Corrective surgery on the nose may be delayed until adolescence. Nasal surgery can also be performed at the time of the lip repair. Cosmetic results depend on the extent of the original deformity, healing potential of the individual patient, absence of infection, and the skill of the surgeon.